In the context of Epidemiology, the following are important criteria for making causal interference Except
1. Consistency
2. Predictive value
3. Strength of association
4. Coherence of association

Correct answer: 2. Predictive value

Explanation: Likelihood of a casual relationship is increased by the presence of the following criteria:1) Temporal association2) Strength of association3) Specificity of the association4) Consistency of the association5) Biological plausibility6) Coherence of the associationPark 8e pg: 89